Apple-jelly nodules on the nasal septum are found in case of:
1. Tuberculosis
2. Syphilis
3. Lupus vulgaris
4. Rhinoscleroma

Correct answer: 3. Lupus vulgaris

Explanation: Lupus vulgaris is the chronic and more common form of tubercular infection affecting the skin and mucous membrane of noseApple-jelly appearances are brown gelatinous nodules and are typical skin lesions of lupus.